Best assay for deficiency of von Willebrand factor is-
1. Bleeding time
2. APTT
3. BT + APTT
4. BT + APTT + vWF-ristocetin factor assay

Correct answer: 4. BT + APTT + vWF-ristocetin factor assay